Which vaccine is not included in Mission Indradhanush?
1. Tuberculosis
2. Measles
3. Meningococcal meningitis
4. Diphtheria

Correct answer: 3. Meningococcal meningitis

Explanation: The Ministry of Health and Family Welfare launched "Mission Indradhanush", depicting the seven colors of the rainbow, in December 2014, to fully immunize 90% of children who are either unvaccinated or partially vaccinated; those that have not been covered during the rounds of routine immunization for various reasons, by 2020 ( Target not pre-poned to 2018) 7 diseases covered: Tuberculosis Polio Hepatitis B Diphtheria Whooping cough Tetanus Measles Newly added (4) : JE vaccine MR Rotavirus IPV